True about pain of pericarditis Is
1. Pais increase on leaning forward
2. Pain decreasing on supine position
3. Pain increases during inspiration
4. Pain increasing on eating

Correct answer: 3. Pain increases during inspiration

Explanation: Ref: Harrison's 19th E pg 1571 The pain of acute pericarditis is often severe, retrosternal, and left precordial, and referred to the neck, arms, or left shoulder. Frequently the pain is pleuritic, consequent to accompanying pleural inflammation (i.e., sharp and aggravated by inspiration and coughing), but sometimes it is steady, constricting, radiates into either arm or both arms, and resembles that of myocardial ischemia; therefore, confusion with acute myocardial infarction (AMI) is common. Characteristically, however, pericardial pain may be relieved by sitting up and leaning forward and is intensified by lying supine. Pain is often absent in slowly developing tuberculous, postirradiation, and neoplastic, uremic, and constrictive pericarditis.